Which of the following combination is not true :
1. Call Hexner bodies - GC tumor
2. Rokitansky bodies - teratoma
3. Schillar duval bodies - serous tumor
4. Reinke crystal - Hilus cell tumor

Correct answer: 3. Schillar duval bodies - serous tumor

Explanation: Schillar duval bodies - serous tumor